Maximum damage to Napoleon's army during his amrch to Moscow was done by?
1. Typhus
2. Plague
3. Diarrhea
4. Typhoid

Correct answer: 1. Typhus

Explanation: Typhus had been present in Poland and Russia for many years during 18th century. Typhus is caused by Rickettsia prowazekii.